Mondor's disease is
1. Superficial thrombophlebitis of breast
2. Fat necrosis in breast
3. Postradiation breast and arm edema
4. Skin infection over the breast

Correct answer: 1. Superficial thrombophlebitis of breast

Explanation: Ans. a (Superficial thrombophlebitis of breast) (Ref. Bailey and Love 25th/833)Mondor's disease is thrombophlebitis of the superficial veins of the breast and anterior chest wall although it has also been encountered in the arm.MONDOR'S DISEASEIn the absence of injury or infection, the cause of thrombophlebitis - like that of spontaneous thrombophlebitis in other sites - is obscure. The pathognomonic feature is a thrombosed subcutaneous cord, usually attached to skin. When the skin over the breast is stretched by raising the arm, a narrow, shallow subcutaneous groove alongside the cord becomes apparent. The differential diagnosis is lymphatic permeation from an occult carcinoma of the breast. The only Rx required is restricted arm movements, and it subsides within a few months without recurrence, complications or deformity.